Nutritional supplement for two year old child under ICD scheme is -
1. 200 Calorie
2. 300 Calorie
3. 400 Calorie
4. 500 Calorie

Correct answer: 4. 500 Calorie

Explanation: The aim is to supplement nutritional intake as follows Each child 6-72 months of age to get 500 calories and 12-15 grams of protein Severlely malnourished child 6-72 months to get 800 calories and 20-25 grams protein Each pregnant and nursing women to get 600 calories and 18-20 grams of protein (refer pgno:591 park 23rd edition)